Predisposing factors for Esophagus Ca-a)  Tylosisb)  Achalasiac) Barrett's esophagus d)  Scleroderma
1. ab
2. bc
3. abc
4. bcd

Correct answer: 3. abc